. In case of pelvic fracture with urethral injury, the most important first step in management is-
1. Repair in injured urethra
2. Fixation of pelvic fracture
3. Treatment of shock and haemorrhage
4. Splinting urethra with catheters

Correct answer: 3. Treatment of shock and haemorrhage